Which structure connects the Broca's area and Wernicke area?
1. Arcuate fasciculus
2. Anterior commissure
3. Corpus callosum
4. Fornix

Correct answer: 1. Arcuate fasciculus

Explanation: - Arcuate fasciculus connects Wernicke's area present in posterior superior temporal gyrus of dominant hemisphere (sensory area of speech) to Broca's speech area present in prefrontal & premotor facial region of cerebral cortex to integrate language understanding & skilled motor function. Damage to Wernicke's area => wernicke's aphasia (lack meaning) Damage of Broca's area => motor aphasia (vocal system couldn't emit words) Damage of Arcuate fasciculus => conduction aphasia - Anterior commissure => white mattes tracts that connects two temporal lobes of cerebral hemispheres across midline (especially amygdala) - Corpus callosum: band of nerve fibers providing bidirectional neural connections b/w most of cortical areas of two cerebral hemispheres (except anterior portions of temporal lobes - Fornix - 'c' - shaped bundle of nerve fibers in brain acting as major output tract for hippocampus